Dental Pulp under any restoration is best protected by
1. Cavity liner
2. Cavity base
3. 2 mm thick dentin
4. All of the above

Correct answer: 3. 2 mm thick dentin